Not a feature of fat embolism
1. Tachycardia
2. Hypotension
3. Petechial Rashes
4. Tachypnoea

Correct answer: 2. Hypotension